Pearl index is defined as?
1. Accidental pregnancies per 1000 women-years of exposure
2. Accidental pregnancies per 100 women-years of exposure
3. Accidental pregnancies per 10 women-years of exposure
4. Accidental pregnancies per women-years of exposure

Correct answer: 2. Accidental pregnancies per 100 women-years of exposure

Explanation: ANSWER: (B) Accidental pregnancies per 100 women-years of exposureREF: Parks 22 Ed page 471, Dutta 6th ed p. 532Repeat Post Diploma June 2012, December 2011, June 2009 SeeFootnote of APPENDIX-115 METHODS OF CONTRACEPTION